Incretin like function is seen in ?
1. Exenatide
2. Miglital
3. Poiglitazone
4. Repaglinide

Correct answer: 1. Exenatide

Explanation: Ans. is 'a' i.e., Exenatide Exenatide is a synthetic glucagon-like peptide - 1 (GLP-1) analogue. GLP-1 is an important incretin that is released from gut in response to oral glucose. But GLP-1 can not be used clinically as it is degraded rapidly by enzyme dipeptidly peptidase - (DPP-4). Exenatide is resistant to DPP-4. It acts similar to GLP-1 - Enhancement of postprandial insulin release, suppression of glucagon release and appetite as well as slowing of gastric emptying. It is given by subcutaneous route & used in type 2 DM Nausea is most important side effect.